Saccharolytic species of Clostridia is
1. Clostridium tetani
2. Clostridium cochlearum
3. Clostridium septicum
4. None

Correct answer: 3. Clostridium septicum

Explanation: Clostridium septicum: citron bodies, boat or leaf-shaped polymorphic bacilli. Motile by peritrichous flagella. Saccharolytic and produce abundant gas. Produce alpha, beta, delta and gamma toxin. Causative of gas gangrene, braxy or malignant edema. Reference: Textbook of Microbiology; Anathanarayan and paniker's; 10th edition; Page no: 260